A 36 years old woman recently treated for leukemia is admitted to the hospital with malaise, chills and high fever. Gram stain of blood reveals the presence of gram-negative bacilli. The initial diagnosis is bacteremia and parenteral antibiotics are indicated. The record of the patient reveals that she had a severe urticarial rash, hypotension and respiratory difficulty after oral penicillin V about 6 months ago. The most appropriate drug should be :
1. Ampicillin plus Sulbactam
2. Aztreonam
3. Cefazolin
4. Imipenem plus cilastatin

Correct answer: 2. Aztreonam